All of the following are features of down's syndrome, EXCEPT:
1. Increased PAPP-A
2. Increased free beta HCG levels
3. Absent nasal bone
4. Abnormal ductus venosus flow velocity

Correct answer: 1. Increased PAPP-A

Explanation: In Downs syndrome the level of AFP is low, PAAP-A is low, and B hCG is high. Characteristic features of Down's syndrome are: Upslanting palpebral fissures, epicanthal folds, midface hypoplasia, and small, dysplastic pinnae. Generalized hypotonia. Cognitive disabilities Congenital heart disease, most oftenly endocardial cushion defects or other septal defectsGastrointestinal tract anomalies including esophageal and duodenal atresias The affected newborn may have prolonged physiologic jaundice, polycythemia, and a transient leukemoid reaction. Leukemia is 12-20 times more common in Down syndrome patients. Ref: CURRENT Diagnosis & Treatment: Pediatrics, 21e chapter 37. Fundamentals of Diagnostic Radiology edited by William E. Brant, page 927